All the following are features of Tropical pulmonary eosinophilia except
1. Eosinophilia>3000/mm3
2. Microfilaria in blood
3. Paroxysmal cough and wheeze
4. Bilateral chest mottling and increased bronchivascular markings

Correct answer: 2. Microfilaria in blood

Explanation: In TPE Microfilaria are rapidly cleared from blood stream by the lungs . Thus, Microfilaria are sequestrated in the lungs . Ref Harrison 19th edition pg 1686-87